Characteristic feature of agonist is -
1. Has affinity only
2. Has affinity as well as intrinsic activity
3. Has intrinsic activity only
4. Neither has affinity nor activity

Correct answer: 2. Has affinity as well as intrinsic activity

Explanation: Ans. is 'b' i.e., Has affinity as well as intrinsic activity